An analgesic 'X' acts through opioid as well as additional spinal monoaminergic mechanisms. Which of the following can be 'X'?
1. Tramadol
2. Etioheptazine
3. Dextropropoxyphene
4. Alfentanil

Correct answer: 1. Tramadol

Explanation: -Tramadol and tapendadol have additional analgesic mechanisms apart from activation of opioid receptors. -These drugs increase release of serotonin in spinal cord and strengthen the descending inhibitory pathway.